The best investigation for cardiac tamponade is:
1. 2-D echocardiography
2. Real time echocardiography
3. Ultrasound
4. M-mode echocardiography

Correct answer: 1. 2-D echocardiography

Explanation: Ans. 2-D echocardiography